During laparoscopy the prefered site for obtaining cultures in a patient with acute PID is
1. Endocervix
2. Endometrium
3. Pouch of douglas
4. Fallopain tubes

Correct answer: 4. Fallopain tubes

Explanation: Microbial diagnosis in acute PID Treatment is mainly started emperically The materials for identification of organisms are from the cervical and urethral discharge and secretion from the bahoilin's gland During laparoscopic or laparotomy pus is collected from the fallopian tubes The materials are subjected to Gram's stain and culture Ref: D.C.DUTTA'S TEXTBOOK OF GYNAECOLOGY; 6TH EDITION; PG NO:131